A 2-year-old child presents with chronic cough and bronchitis, growth failure, and chronic diarrhea with light-colored, foul-smelling stools. A deficiency of which of the following vitamins should be considered?
1. Vitamin A
2. Vitamin C
3. Vitamin B1
4. Vitamin B2

Correct answer: 1. Vitamin A

Explanation: Vitamins A, D, E, and K are all fat- soluble. The physical characteristics of fat-soluble vitamins derive from the hydrophobic nature of the aliphatic chains composing them. The other vitamins listed are water-soluble, efficiently administered orally, and rapidly absorbed from the intestine. Fat-soluble vitamins must be administered intramuscularly or as oral emulsions (mixtures of oil and water). In intestinal disorders such as chronic diarrhea or malabsorption due to deficient digestive enzymes, fat-soluble vitamins are poorly absorbed and can become deficient. Supplementation of fat-soluble vitamins is thus routine in disorders like cystic fibrosis, a cause of respiratory and intestinal disease that is the likely diagnosis in this child. Ref:Bender D.A. (2011). Chapter 44. Micronutrients: Vitamins & Minerals. In D.A. Bender, K.M. Botham, P.A. Weil, P.J. Kennelly, R.K. Murray, V.W. Rodwell (Eds),Harper's Illustrated Biochemistry, 29e.